Sphincterotomy of sphincter of Oddi is performed at
1. 3 O'clock position
2. 6 O'clock position
3. 9 O'clock position
4. 11 O'clock position

Correct answer: 4. 11 O'clock position

Explanation: This cut is made superiorly (at the 11 o'clock position) for 4 to 5 mm The sphincter is incised at the 11-O'clock position to avoid injury to the pancreatic duct